All the following are sex-cord tumors, EXCEPT:
1. Granulosa cell tumor
2. Sertoli-leydig cell tumor
3. Dysgerminoma
4. Gynandroblastoma

Correct answer: 3. Dysgerminoma

Explanation: Sex cord (gonadal stromal) tumors include: Granulosa cell tumors, theca cell tumors Androblastoma - Sertoli-Leydig cell tumor Gynandroblastoma Unclassified Dysgerminoma is a germ cell tumor. Ref: Shaw's textbook of gynaecology, edition 12, Page - 313.